Most common cancer arising from a burns scar is:
1. Adeno carcinoma
2. Fibrosarcoma
3. Squamous carcinoma
4. Adeno squamous carcinoma

Correct answer: 3. Squamous carcinoma

Explanation: Ans: C (Squamous carcinoma) Ref: Bailey & Love's Short Practice of Surgery, 25th Edition 611Explanation:Squamous carcinoma of SkinSecond most common form of skin cancerTwice more common in menRisk factorsUV rays exposureChronic inflammationChronic sinus tractsPre-existing searsOsteomyelitisBumsVaccination pointsImmunosuppression (organ-transplant recipients)Chemical carcinogens (arsenieals, tar)HPV5 and HPY16 infe etionTobacco useClinical featuresLesions vary from smooth nodular to verrucous, papillomatous and ulcerating lesions.All variants will eventually ulcerate as they grow.The u leers hav e a characterisecally e verted edgeDiagnosis - By biopsyManagementSurgical excisionLesion < 2 cm - Excision with 4mm marginLesion > 2 cm Excision with l cm margin